In necrotising enterocolitis earliest change seen in X-ray abdomen is -
1. Non specific bowel dilatation
2. Gas in the intestinal wall
3. Gas in splenic flexure
4. Ground glass appearance

Correct answer: 1. Non specific bowel dilatation

Explanation: Ans. is 'a' i.e., Non specific bowel dilatation o Earliest X-ray finding in neonatal necrotizing enterocolitis --> Nonspecific dilatation of intestine. o Characteristic X-ray finding of neonatal necrotizing enterocolitis --> Pneumatosis intestinal is (Gas in intestinal wall).